The segmental level of spinal anaesthesia depends on:
1. Volume of the local anaesthetic injected
2. Specific gravity of the local anaesthetic solution
3. Posture of the patient
4. All of the above

Correct answer: 4. All of the above

Explanation: * Factors affecting the height of block :- -- Volume of drug -- Baricity (Ratio of specific gravity of an agent to that of CSF). -- Position of the patient -- Intra-abdominal pressure -- Curvature of spine * Factors affecting duration of block :- -- Dose -- Concentration - - Drug (LA used) -- Added vasoconstrictors